ATM gene is located on ?
1. Chromosome 11
2. Chromosome 7
3. Chromosome 5
4. Chromosome 8

Correct answer: 1. Chromosome 11

Explanation: Ans. is 'a' i.e., Chromosome 11Ataxia-Telangiectasia Is an autosomal recessive disorder characterized by an ataxic-dyskinetic syndrome beginning in early childhood, with the subsequent development of telangiectasias in the conjunctiva and skin, along with immunodeficiency. o The ataxia-telangiectasia mutated (ATM) gene located on chromosome 11q22-q23 encodes a kinase with a critical role in orchestrating the cellular response to double-stranded DNA breaks.